Which of the following is true of cellular cementum?
1. Forms during root formation
2. Forms after the eruption of the tooth
3. Seen at the coronal portion of the tooth
4. Formation is a slow process

Correct answer: 2. Forms after the eruption of the tooth